Ostmann fat pad is related to ?
1. Ear lobule
2. Buccal mucosa
3. Eustachian tube
4. Tip of nose

Correct answer: 3. Eustachian tube

Explanation: Ans. is 'c' i.e., Eustachian tube There are small fat bodies located infermedial to Eustachian tube. These are called Ostmann fat pads. They are important in normal closure of eustachian tube and preventing transmission of nasopharyngeal pressure to middle ear. These fat pads are absent in Patulous tube syndrome.